Which is beta antagonist ?
1. Salbutamol
2. Propranolol
3. Salmeterol
4. Albuterol

Correct answer: 2. Propranolol